Ciliary staphyloma is seen in
1. Absolute glaucoma
2. Pathological myopia
3. Retinoblastoma
4. Episcleritis

Correct answer: 1. Absolute glaucoma

Explanation: Answer: a) Absolute glaucoma (PARSON 22nd ED, P-223)STAPHYLOMA* Localized bulging of weak & thin outer tunic of eyeball (cornea or sclera), lined by uveal tissue* Anterior staphyloma> An ectasia of pseudocornea> Most common cause - sloughing corneal ulcer which perforatesIntercalary staphylomaCiliary staphylomaEquatorial staphylomaPosterior staphyloma* Located at the limbus* Lined by root of iris* May be associated with secondary angle closure glaucoma* Located upto 8mm behind limbus* Lined by ciliary body.* Bulge of sclera lined by choroid in the equatorial region (14mm behind limbus)* Bulge of sclera, lined by choroid, behind the equatorial region* Not visible externally CausesCauses:* Perforating injury* Marginal corneal ulcer* Anterior ScleritisCauses* Perforating injury* Scleritis* Absolute glaucomaCauses* Scleritis* Pathological myopia* Degenerative myopiamcc* Posterior scleritis* Perforating injury